All the following are features of cerebellar disease except -
1. Intention tremors
2. Past pointing
3. Hypertonia
4. Ataxia

Correct answer: 3. Hypertonia